Investigation of choice to confirm Hemochromatosis as the cause of cardiomyopathy is:
1. ECG
2. Echo
3. MRI
4. CT

Correct answer: 3. MRI

Explanation: Answer is C (MRI) Cardiac MRI is the investigation of choice in Cardiomyopathy from Hemochromatosis. Cardiac MRI helps distinguish amongst various causes of restrictive cardiomyopathy. Cardiac MR1 in hemochromatosis allows non-invasive detection and quantification of myocardial iron load and distribution. Cardiac MRI is the imaging modality of choice as Echocardiography may be unable to distinguish hemochromatosis from dilated cardiomyopathy